The portal vein is derived from which of the following?
1. Vitelline veins
2. Umbilical veins
3. Anterior cardinal veins
4. Posterior cardinal veins

Correct answer: 1. Vitelline veins

Explanation: The portal vein is derived from :- Major contribution from Right vitelline vein Minor contribution from left vitelline vein Dorsal anastmosis between left and right vitelline vein (NOTE - vitelline of each side are connected to each other by proximal , middle and distal anastmosis )